All of the following method used for detecting heavy metals, except :
1. Harrison & Gilroy test
2. Paraffin test
3. Neutron activation analysis
4. Atomic adsorption spectrospcopy

Correct answer: 2. Paraffin test

Explanation: B i.e. Paraffin Test Paraffin or Dermal Nitrate test is now an obsolete test, which was used earlier to determine if a suspect had discharged a fire arm by testing for presence of nitrate not heavy metals.Q